Paralysis in polio is characterized by ?
1. Spasticity
2. Symmetrical
3. LMN type
4. Progressive

Correct answer: 3. LMN type

Explanation: Ans. is 'c' i.e., LMN type Clinical manifestations of polio Incubation period ranges from 3-35 days (usually 7-14 days). The clinical spectrum includes :- Subclinical (inapparent) infections (95%) : Most common and play predominant role in spread of infection. Minor (abortive) illness (4.8%) : Present with fever, sore throat, headache and malaise. Aseptic meningitis/ non paralytic polio (1%) : There are signs and symptoms of meningitis. Paralytic polio (There is flaccid paralysis with absent reflexes. Respiratory paralysis is the most common cause of death.